Antinuclear antibody specific for SLE is ?
1. Anti ds DNA
2. Anti nuclear antibodies
3. Anti centromere antibody
4. Anti histone Ab

Correct answer: 1. Anti ds DNA

Explanation: Ans. is 'a' i.e., Anti ds DNA